Which of the following drugs reduces alcohol craving and chances of resumed heavy drinking by alcoholics after they have undergone a detoxification programme with this drug?
1. Chlordiazepoxide
2. Chlorpromazine
3. Methadone
4. Naltrexone

Correct answer: 4. Naltrexone

Explanation: Drugs decreasing alcohol craving are; None: Naltrexone Of: Ondansetron The: Topiramate Above: Acamprosate